Prozone phenomenon is due to
1. Antigen excess
2. Antibody excess
3. False +ve reaction
4. False -ve reaction

Correct answer: 2. Antibody excess

Explanation: Zone phenomenon (seen in agglutination and precipitation) consists of 3 parts: Prozone = Ab excess = weak or absent precipitation reaction = False -ve Zone of equivalence = peak amount of precipitation. Post zone = Ag excess = weak or absent precipitation reaction. REF : ananthanarayana 10th ed